Globi is -
1. Histiocyte containing acid fast bacillus
2. Lymphocyte containing acid-fast bacillus
3. Neutrophile containing acid-fast bacillus
4. Large lymphocyte containing acid fast bacillus

Correct answer: 1. Histiocyte containing acid fast bacillus

Explanation: Ans. is 'a' i.e., Histiocyte containing acid-fast bacillus